Families which lags behind rest of community, is known as
1. Communal family
2. Elementary family
3. Problem Family
4. Broken Family

Correct answer: 3. Problem Family

Explanation: Problem Family: Is a family which lags behind rest of the community; underlying factors in most problem families are those of personality, relationships, backwardness, poverty, illness, mental and social instability, character defects and marital disharmony. Standards of life are generally far below the accepted minimum Parents are unable to meet the physical and emotional needs of children Home life is utterly unsatisfactory Ref: Park 25th edition Pgno: 723